CSF rhinorrhea is diagnosed by:
1. Glucose estimation
2. Halo sign
3. Immunoelectrophoresis
4. All

Correct answer: 4. All

Explanation: Ans. All